According to juvenile justice act, age of juvenile is ?
1. < 14 years
2. <16 years
3. < 18 years
4. < 20 years

Correct answer: 3. < 18 years

Explanation: Ans. is 'c' i.e., < 18 years Juvenile Justice Act 2000 Juvenile justice (care and protection of children Act, 2000 (now Amendment Act 2006) covers :- Juveniles in conflict - child who is alleged to have committed an offence. Children in need of care and protection - children who are neglected, abused, or abandoned. This act defines a juvenile / child as a person who has not completed the age of 18 years.